Which of the following is not an indication of amniocentesis for chromosomal anomaly detection?
1. Gestation diabetes
2. Previous Down's child
3. Maternal age more than 35
4. Parents with chromosomal anomaly

Correct answer: 1. Gestation diabetes

Explanation: Ans, is a, i.e. Gestation diabetesRef. Dutta Obs. 7/e, p 647; Fernando Arias 3/e, p 46, 47; COGDT 10/e, p 107, Williams Obs. 23/e, p 299, 300Amniocentesis or chorionic villi sampling should be offered to the following class of patients:-Singleton pregnancy and maternal age 35 years or above.-Twin pregnancy at age over 31 years of pregnancy.-Previous chromosomally abnormal child.-Three or more spontaneous abortions.-Patient or husband with chromosome anomaly.-Family history of chromosome anomaly.-Possible female carrier of X-linked disease.-Metabolic disease risk (because of previous experience or family history).-NTD risk (because of previous experience or family history).-Positive second-trimester maternal serum screen or major fetal structural defect identified by USG.